Following is not an external manifestation of enamel
1. Enamel tufts
2. Enamel lamella
3. Incremental lines of enamel
4. Enamel cuticle

Correct answer: 1. Enamel tufts

Explanation: Perikymata are transverse, wave like grooves, believed to be the external manifestations of Incremental Lines of Retzius. Enamel cuticle is a delicate membrane that covers the entire enamel of the crown of a newly erupted tooth but is probably soon removed after mastication. Enamel lamellae are thin leaf like structures that extend from the enamel surface towards DEJ.